True about fat embolism
1. Seen one week after injury
2. Patechie
3. Bradycardia
4. All

Correct answer: 2. Patechie

Explanation: B i.e. Patechae